Malonate is a competitive inhibitor of
1. Complex I
2. Complex II
3. Complex III
4. Complex IV

Correct answer: 2. Complex II

Explanation: Barbiturates such as amobarbital inhibit electron transport Complex I by blocking the transfer from Fe-S to Q. At sufficient dosage, they are fatal in vivo. Antimycin A and dimercaprol inhibit the respiratory chain at Complex III. The classic poisons H2S, carbon monoxide, and cyanide inhibit Complex IV and can therefore totally arrest respiration. Malonate is a competitive inhibitor of Complex II Reference: Harper; 30th edition; Page no: 132